Which of the following is seen in mania:
1. Low activity
2. Over activity
3. Normal activity
4. None of the above

Correct answer: 2. Over activity

Explanation: Ans. B: Over activity Manic episode: There is an increased psychomotor activity, ranging from overactiveness and restlessness, to manic excitement where the person is 'on-the-toe-on-the-go', (i.e. involved in ceaseless activity) Bipolar disorder (BPD): Mania alone may be categorized as BPD, but depression alone is not Chromosome 18 is involved Mania Inflated self esteem Grandiosity Flight of ideas Distractibility